What is the ideal treatment for a 55 yr female with Simple Hyperplasia of endometrium with Atypia?
1. Simple hysterectomy
2. Medroxy progesterone Acetate (MPA)
3. Levonorgesterol (LNG)
4. IUCD

Correct answer: 1. Simple hysterectomy

Explanation: Among all the given options for the patient in the clinical scenario, the best treatment option would be simple hysterectomy. There are chances of about 60-70% for simple hyperplasia of endometrium with Atypia to progress into endometrial cancer. While abdominal hysterectomy with or without oophrectomy is preferred in elderly, medical management is used in younger patients who would not prefer hysterectomy. Ref: Shaws textbook of Gynaecology 13 edition, page 395